Which of the following is an antifungal?
1. Flucytosine
2. Cytosine arabinoside
3. 5 fluorouracil
4. Procarbazine

Correct answer: 1. Flucytosine

Explanation: Ans: a (Flucytosine) Ref: Tripati, 6th ed, p. 757Classification of antifungals1. AntibioticsA. Polyenes: Amphotricin B, nystatin, hamycin, natamycinB. Heterocyclic benzofuran: Griseofulvin2. Antimetabolite:Flucytosine(5-FC)3. Azoles:A. Imidazoles (topical) clotrimazole, econazole, micanazole. oxiconazole (systemic) KetoconazoleB. (systemic): Fluconazole, itraconazole, voriconazole4. Allylamineterbinafine5. Other topical agents:Tolnaftate, undecyclenic acid, benzoic acid, quindochlor, ciclopirox olamine, butenafine, sod. thiosulfate